Field defect in open angle glaucoma is best detected by?
1. Humphrey field perimeter
2. Goldman perimeter
3. Listers perimeter
4. Bjerrum screen

Correct answer: 1. Humphrey field perimeter

Explanation: Diagnosis of glaucoma field defect is best done by Humphrey field perimeter(Gold standard). EARLIEST VISUAL FEILD DEFECT- PARA CENTRAL SCOTOMA Visual feild is defined as area if space visible to human eye without moving the eye fro central target. Rule of thumb:Earliest visual field defect in glaucoma always begin from close to center i.e Paracentral > Bjerrum > Generalized constriction. Extra edge: In Glaucoma, Temporal visual field is the last visual field to be affected.